Primary sclerosing cholangitis, true are -a) ↑ Femalesb) Associated with IBDc) Involves intra & extrahepatic ductsd) ERCP not helpful
1. a
2. bc
3. ac
4. ad

Correct answer: 2. bc